Hall mark signs of neuropathic pain are mechanical hyperalgesia and
1. Allodynia
2. Alopecia
3. Allocretia
4. Allogeusia

Correct answer: 1. Allodynia